Sputum from an asthma patient may show ?
1. Numerous eosinophils
2. Curschmann's spirals
3. Charcot-Leyden crystals
4. All of the above

Correct answer: 4. All of the above

Explanation: Ans. is 'd' i.e., All of the above